Exposure treatment is done for burns of the ?
1. Upper limb
2. Lower limbs
3. Thorax
4. Head & Neck

Correct answer: 4. Head & Neck

Explanation: Ans. is 'd' i.e., Head & Neck There are two methods of management of the burn wound with topical antibacterial agent a) Exposure therapy no dressings are applied over the wound after application of the agent. - advantages are that bacterial growth is not enhanced as may be the case under a closed dressing, and the wound remains visible and readily accessible. disadvantages are increased pain and heat loss as a result of the exposed wound and an increased risk of cross-contamination. b) Closed method an occlusive dressing is applied over the agent and is changed twice daily. disadvantage is the potential increase in bacterial growth if the dressing is not changed twice daily. advantages are less pain, less heat loss, and less cross-contamination. Closed method is generally preferred except for face and head where exposure method is preferred.